The operation of choice in ulcerative colitis
1. Proctocolectomy with ileoanal anastomosis
2. Subtotal colectomy and ileostomy
3. Proctocolectomy and permanent end ileostomy
4. Subtotal colectomy and ileorectal anastomosis

Correct answer: 1. Proctocolectomy with ileoanal anastomosis

Explanation: The operation of choice in ulcerative colitis is proctocolectomy (with preservation of the anal sphincter complex) with ileoanal J pouch anastomosis (IPAA).Total proctocolectomy has the advantage of removing all diseased mucosa, thereby preventing further inflammation and the potential for progression to dysplasia or carcinoma. ie; Total colon and rectum are removed, ileal pouch is constructed (to function like rectum) and anastomosed to the anal canalRef: Sabiston 20e pg: 1372, Harrison 19e pg: 1962